Lady has B/L hearing loss since 4 years which worsened during pregnancy. Type of impedence auditometry graph will be -
1. Ad
2. As
3. B
4. C

Correct answer: 2. As